Acute febrile illness with vasculitis having predilection for the coronary arteries is seen in:
1. Kawasaki disease
2. Adenovirus infection
3. Diphtheria
4. Measles

Correct answer: 1. Kawasaki disease

Explanation: a. Kawasaki disease(Ref: Nelson's 20/e p 1221-1223, Ghai 8/e p 631-635)Coronary artery aneurysm is an important complication of Kawasaki disease